Chances of adverse outcome in a heart disease patient are increased in all of the following periods except
1. 28-32 weeks of pregnancy
2. At the time of labor
3. 4-5 days after delivery
4. First 4weeks of Pregnancy

Correct answer: 4. First 4weeks of Pregnancy

Explanation: Period of pregnancy during which a heart disease patient has high chance of adverse outcome 12 to 16 wks of pregnancy 28 to 32 wks of pregnancy During Labor Immediately after delivery-Maximum deaths 4 to 5 days after delivery Reference: William's Obstetrics; 24th edition; Chapter 49